A patient with Antral Ca repeatedly vomits. Not seen is -
1. Acidosis
2. Hypokalemia
3. Hyponatremia
4. Hypochloremia

Correct answer: 1. Acidosis